Hydroxylation of proline require the following except:
1. Fe+2
2. O2
3. Ascorbic acid
4. Succinate

Correct answer: 4. Succinate